Bone Density is best studied by -
1. CT scan
2. DEXA scan
3. MRI scan
4. Bone scan

Correct answer: 2. DEXA scan

Explanation: According to the guidelines for diagnosis and treatment, dual X-ray absorptiometry (DXA) still represents the "gold standard" for diagnosis of osteoporosis and fracture risk prediction.